Most common cause of sub-dural haematoma -
1. Middle meningeal artery tear
2. Rupture of superior cerebral vein
3. Internal carotid artery tear
4. None of the above

Correct answer: 2. Rupture of superior cerebral vein

Explanation: It is due to rupture of bridging veins.